Important metabolic effects of thyroxine is/are:
1. Increases the basal metabolic rate.
2. Reaction time of stretch reflexes is shortened by hyperthyroidism.
3. Potentiates the effects of catecholamines.
4. All of the above.

Correct answer: 4. All of the above.